Which of the following duct commences in the abdomen as an elongated lymph sac of the cisterna chyli is?
1. Thoracic duct
2. Gartner's duct
3. Bile duct
4. Hepatic duct

Correct answer: 1. Thoracic duct

Explanation: The thoracic duct is the largest lymphatic vessel in the body.It extends from the upper part of the abdomen to the lower part of the neck,crossing the posterior and superior parts of the mediastinum.It is about 45 cm long.It has a beaded appearance because of the presence of many valves in its lumen. It begins as a continuation of the upper end of cisterna chyli near the lower border of the twelth thoracic vertebra and enters the thorax through the aortic opening of the diaphragm. REF.B D Chaurasia's human anatomy vol.1,fifth edition.pg 270